IUGR is characterized by all except:
1. Polycythemia
2. Meconium aspiration syndrome
3. HMD
4. Hypocalcemia

Correct answer: 3. HMD

Explanation: Ans. is c, i.e. HMDRef COGDT 10/e, p 293; Dutta Obs. 7/e, p 464.Fetal complications of IUGRLong-term complications of IUGR:Low IQ, learning and behaviour problemsMajor neurologic handicaps (seizure disorders, cerebral palsy, intellectual disability)Adult diseases--these children are supposed to be at increased risk of developing disorders like obesity, diabetes mellitus, cardiovascular disease.Now let's see what Ghai 6/e, p 166 says about Hyaline membrane disease (RDS).In RDS the basic abnormality is surfactant deficiency."RDS almost always occurs in preterm babies often less than 34 weeks of gestation. It is the commonest cause of respiratory distress in a preterm neonateThe overall incidence is 10-15% but can be as high as 80% in neonates < 28 weeks.OGDT 10/e, p 293 says: "Hypoxia in IUGR fetus is the result of increasing fetal requirement during pregnancy and not due to hyaline membrane disease (i.e. surfactant deficiency)."According to Fernando Arias, 3/e p 112 RDS/HMD is seen in preterm fetal growth restricted infants. The RDS is not because of IUGR but due to prematurity, so I am ruling it out because the question is not asking about Preterm IUGR